All are principles of primary health care EXCEPT:
1. Intersectoral coordination
2. Community participation
3. Appropriate technology
4. Decentralised approach

Correct answer: 4. Decentralised approach

Explanation: ANSWER: (D) Decentralised approachREF: Park 20th edition page 792Principles of primary health care:Equitable distributionCommunity participationIntersectoral coordination4. Appropriate technology